Which of the drugs must be available in labour room while giving narcotics for pain?
1. Fentanyl
2. Naloxone
3. Pheniramine
4. Morphine

Correct answer: 2. Naloxone

Explanation: In a labour room when opoid narcotics are being given to reverse the respiratory depression induced by them, Naloxone should be available. It is given to the mother 0.4 mg IV in labour. Ref: Datta Obs 9e pg 479.